All are attached to coracoid process, except-
1. Coracobrachial is
2. Pectoralis minor
3. Short head of biceps
4. Long head of biceps

Correct answer: 4. Long head of biceps

Explanation: Ans. is 'd' i.e., Long head of biceps Muscles attached to scapulao Muscles attached to scapula are:Coracoid process Tip of the coracoid process gives origin to coracobrachialrs {medially) and short head of the biceps laterally. The upper s urface receives insertion of pectoralis minor.Spine of scapula and acromion process There is origin of Deltoid and insertion of trapezius.Glenoid tubercleSupraglenoid tubercle gives origin to the long head of biceps and infra glenoid tubercle gives origin to long head of triceps.Lateral border Origins of teres minor and teres majorMedial border Insertions of serattus anterior (anteriorly); and rhomboideus major, rhomboideus minor and levator scapulae (posteriorly).Costal (anterior j surface (origin) Subscapularis.Dorsal surface (origins) Supraspinatus, infraspinatus and at inferior angle iattismus dorsi.